Most resistant organ to electric current:
1. Bone
2. Skin
3. Blood vessel
4. Muscle

Correct answer: 1. Bone

Explanation: Ans. Bone